A 40-year-man, working in farm, presented with headache, malaise, sense of tightness in chest, dimness of vision. On examination he had pinpoint pupils. Likely diagnosis is
1. OP Poisoning
2. Lead Poisoning
3. Dhathura Poisoning
4. Cocaine toxicity

Correct answer: 1. OP Poisoning

Explanation: Ans. a (OP poisoning). (Ref. Parikh, textbook of FMT, 5th/71, 6th/813)Signs & SymptomsDhathura poisoningDryness of mouth & throat, dysphagia, dilated pupils, dry hot skin (fever), delirium, drowsiness & irritability.Lead poisoningMetallic taste, dry throat, nausea & vomiting, thirst, colic pain in abdomen, purging with constipation, headache, drow siness, paralysis of limbs, finally collapse precedes death.OP poisoningAffects first involuntary muscles & secretory glands, then voluntary muscles, & finally vital brain centers.OP PoisoningHeadache, malaise, sense of tightness in chest, diminision of vision, pin-point pupils, nausea, abdominal cramps, vomiting, diarrhea, profuse sweating, salivations and feeling of well being & pleasure, due to inhibition of higher controls (stage of excitement) are important features.# Salivation- # Lacrimation # Urinary incontinence --(Mnemonic: SLUDGE)# Decreased heart rate# Gastro-intestinal symptoms # Elation and excessive sweating-